In the human kidney, a renal papilla projects directly into the:
1. Ureter
2. Major calyx
3. Minor calyx
4. Renal pyramid

Correct answer: 3. Minor calyx